What was the slogan for World health day 2012?
1. Good health adds life to years
2. No action today no cure tomorrow
3. 1000 cities - 1000 lives
4. Save lives. Make hospitals safe in emergencies

Correct answer: 1. Good health adds life to years

Explanation: Each year, the WHO celebrates the world health day on April 7th, the day when WHO was founded. There is a theme for each year with a catchy slogan. YEAR THEME SLOGAN 2012 Aging and health Good health adds life to years 2011 Antimicrobial resistance No action today no cure tomorrow 2010 Urbanization and health. 1000 cities - 1000 lives 2009 Resilience and safety of health facilities and the health worker Save lives. Make hospitals safe in emergencies Ref: